True about Hematological change in Pregnancy
1. Total blood volume increases 40% by term
2. The hematocrit increases
3. Red cell volume does not increase until 20 weeks
4. Hematocrit increases due to an increased RBC volume relative to plasma volume

Correct answer: 1. Total blood volume increases 40% by term

Explanation: Hemoglobin concentration and Hematocrit decrease slightly during pregnancy.